A postoperative patient with pH 7.25, MAP (mean arterial pressure) 60 mm of Hg treated with:
1. IV sodium bicarbonate
2. Only normal saline
3. Fluid therapy with CVP monitoring
4. Fluid restriction

Correct answer: 3. Fluid therapy with CVP monitoring